Investigation of choice for CHPS
1. USG
2. x-ray
3. CT
4. MRI

Correct answer: 1. USG

Explanation: Ans. (a) USGRef: Bailey and Love page 113-114/26th edition* IOC for Congenital Hypertrophic Pyloric stenosis - USG* Palpated as a Olive tumor in right Upper quadrant.* If the history and clinical mass is there - no need of USG - directly we can do Ramstedt's pylromyotomy